Carpel tunnel syndrome is caused by all except
1. Rheumatoid arthritis
2. Hypothyroidism
3. Addisson's disease
4. Diabetes mellitus

Correct answer: 3. Addisson's disease

Explanation: Ref - Researchgate.net